The type of resorption seen when light continuous orthodontic forces are applied:
1. Apical
2. Frontal or direct
3. Indirect or undermining
4. No resorption is seen

Correct answer: 2. Frontal or direct